In a case of Dysgerminoma of ovary one of the following tumor markers is likely to be raised:
1. Serum HCG
2. Serum alphafetoprotein
3. Serum lactic dehydrogenase
4. Serum inhibin

Correct answer: 3. Serum lactic dehydrogenase